Oral contraceptive pill of choice in a lactating woman is :
1. Monophasic pill
2. Biphasic pill
3. Triphasic pill
4. Mino pill

Correct answer: 4. Mino pill

Explanation: Mino pill